Urea cycle occurs in which of the following body organs?
1. Liver
2. Gastrointestinal tract
3. Spleen
4. Kidney

Correct answer: 1. Liver

Explanation: The urea cycle (also known as the ornithine cycle) is a cycle of biochemical reactions occurring in many animals that produces urea from ammonia (NH3). This cycle was the first metabolic cycle discovered (Hans Krebs and Kurt Henseleit, 1932), five years before the discovery of the TCA cycle. In mammals, the urea cycle takes place primarily in the liver, and to a lesser extent in the kidney. Ref: Textbook of Biochemistry By DM Vasudevan, 3rd Edition, Page163